Root value of long thoracic nerve:
1. C-3,4, 5
2. C-5, 6, 7
3. C-7, 8 T-1
4. C-2, 3, 4

Correct answer: 2. C-5, 6, 7

Explanation: Ans. b. C-5, 6, 7 (Ref: BDC 5/vol-I/54, 55; Lasts Anatomy 11/e p55; Gray's Anatomy 40/e p819)Long thoracic nerve is branch of trunk forming brachial plexus with root value of C-5, 6, 7.Branches of the plexus for the upper limbBranches of the Roots:Nerve to serratus anterior (Long thoracic nerve C5,6,7)QNerve to rhomboideus (Dorsal Scapular nerve C5)QBranches of the Trunks: (Arise only from upper trunk)Suprascapular nerve (C5,6)QNerve to Subclavius (C5,6)QBranches of the Cords:Branches of lateral Cord (LML)Lateral Pectoral (C5-C6)QMusculocutaneous (C5-C7)QLateral root of median (C5-C7)QBranches of medial cord (4 MU)Medial pectoral (C8-T1)QMedial cutaneous nerve of arm (C8-T1)QMedial cutaneous nerve of forearm (C8-T1)QMedial root of median (C8-T1)QUlnar (C7,8-T1)QBranches of Posterior cord (ULNAR)Upper suhscapular (C5-C6)QLower subscapular (C5-C6)QNerve to latissimus dorsi (Thoracodorsal C6,7,8)QAxillary (C5-C6)QRadial (C5,6,7,8-T1)Q